Circadian rhythm is influenced by:
1. Supra optic nuclei
2. Postero lateral nucleus
3. Ventro-lateral nucleus
4. Supra chiasmatic nucleus

Correct answer: 4. Supra chiasmatic nucleus

Explanation: Ans: D (Supra chiasmatic nucleus) Ref: W F Ganong. Central and Peripheral Neurophysiology. In: Review of Medical Physiology. 24th ed. California: McGraw-Hill Companies; 2012, p278.Explanation:Circadian rhythm is dependent on the supra-chias- matic nuclei (SCN) located bilaterally above the optic chiasm. (See Table 2 Below)